DIC is commonly seen in -
1. MI AML
2. M2 AML
3. M3 AML
4. M4 AML

Correct answer: 3. M3 AML